Saggital split osteotomy was first advocated by
1. Obwegesser
2. Dalpont
3. Wundrer
4. Moose

Correct answer: 1. Obwegesser